Brunner's glands are seen in
1. Duodenum
2. Gastric
3. Gall bladder
4. Ileum

Correct answer: 1. Duodenum

Explanation: INDERBIR SINGH'S TEXTBOOK OF HUMAN HISTOLOGY-PAGE NO:272The wall of the small intestine is made up of the four layers: mucous, submucous, muscularis and serous.the serous and muscular layers correspond exactly to the general structure of the alimentary canal. the submucosa is also typical except in the duodenum, where it contains the glands of Brunner